Which off the following represents the most charachteristic function of Type II Restriction Enzymes
1. Prevent folding of proteins
2. Remove fromed DNA
3. Prevent supercoiling
4. Cut DNA at palindromic sites

Correct answer: 4. Cut DNA at palindromic sites

Explanation: Type H Restriction Enzymes cleave DNA at specific palindromic nucleotide sequences.